Hooch tragedy was due to consumption of:
1. Cannabis
2. Methyl alcohol
3. Ethyl alcohol
4. Dhatura

Correct answer: 2. Methyl alcohol

Explanation: Ans. B i.e. Methyl alcohol Orissa hooch tragedy (2012)/ Cuttack hooch tragedy It killed at least 29 people in the Indian state of Orissa. 28 people died in Cuttack and one succumbed at the Capital hospital in Bhubaneswar. The victims, mostly poor men from Cuttack and Khordha districts and the local brew seller himself, had consumed spurious liquor from a joint in Mahidharpada area of Cuttack on 6 February 2012. The liquor contained medicines such as that used to treat cold, cough and to dress wounds.